Hofmann Degradation is seen with:
1. Gallamine
2. Thiopentone
3. Atracurium
4. Lignocaine

Correct answer: 3. Atracurium

Explanation: Atracurium